Brain death is said to occur if there is:
1. Absent spinal reflexes
2. Cortical death following widespread brain injury
3. Absence of brainstem reflexes
4. Core temperature of the body is below 35 degree C

Correct answer: 3. Absence of brainstem reflexes

Explanation: Ans. C: Absence of brainstem reflexes Brainstem is responsible for the respiratory drive and mostly for the maintenance of BP. All motor outputs from the brain travel through the brainstem. Apart from smell and vision. All sensory traffic coming into the brain comes through the brainstem. The brainstem also mediates the cranial nerve reflexes. Hence a properly functioning brain stem is a precondition for full consciousness. Irreversible brain damage and loss of brain function, is evidenced by cessation of breathing and other vital reflexes (mediated by brain stem), unresponsiveness to stimuli, absence of muscle activity, and a flat electroencephalogram for a specific length of time.